Nail infection is caused by all of the following except:
1. Trichophyton
2. Epidermophyton
3. Microsporum
4. Candida

Correct answer: 3. Microsporum

Explanation: Superficial infection Area affected Trichophyton involves Skin Hair Nail Microsporum involves Skin Hair But never nail Epidermophyton involves Skin Rarely nails But never hair